Inhibition of glycolysis by increased supply of 02 is called ?
1. Crabtree effect
2. Pasteur effect
3. Lewis effect
4. None

Correct answer: 2. Pasteur effect

Explanation: Ans. is 'b' i.e., Pasteur effect Pasteur effect It has been observed that under anaerobic condition a tissue or microorganism utilizes more glucose than it does under aerobic conditions. It reflects inhibition of glycolysis by oxygen and is called pasteure effect. The Pasteur effect is due to inhibition of the enzyme phosphofructokinase because of inhibitory effect caused by citrate and ATP, the compounds produced in presence of oxygen due to operation of TCA cycle. Crabtree effect This is opposite of Pasteur effect, which represents decreased respiration of cellular systems caused by high concentration of glucose. When oxygen supply is kept constant and glucose concentration is increased, the oxygen consumption by cells falls, i.e., relative anaerobiosis is produced when glucose concentration is increased in constant supply of oxygen. It is seen in cells that have a high rate of aerobic glycolysis. In such cells the glycolytic sequence consumes much of the available Pi and NAD+, which limits their availability for oxidative phosphorylation. As a result, rate of oxidative phosphorylation decreases, and oxygen consumption also shows a corresponding fall.